Common tumor of Posterior mediastinum are all except
1. Lymphoma
2. Neuroblastoma
3. Neurogenic tumors
4. Thymoma

Correct answer: 4. Thymoma

Explanation: Locations Of the common Mediastinal Masses Anterior Mediastinum Middle Mediastinum Posterior Mediastinum Thymoma (MC in anterior mediastinum) Lymphoma Germ cell tumors Thyroid and parathyroid masses Bronchogenic cyst Aneurysm Cysts (MC in middle mediastinum) Pericardial (MC) Bronchogenic Enterogenic Neuroenteric Vascular masses (aneurysm) LN Enlargement and lymphoma Mesenchymal tumors Pheochromocytoma Neurogenic tumors (MC overall) Meningoceles Mesenchymal tumors. Pheochromocytoma Lymphoma Bochdalek hernia Bronchogenic cyst Enterogenous cyst Ref : Sabiston 20th edition Pgno : 1608